All are true except:
1. The infantile nucleus is completely formed by one year of age
2. The embryonic nucleus is situated between the two Y sutures
3. Congenital blue dot cataracts are associated with development of senile cataract at an early stage
4. Zonular cataracts typically affect the outer part of the fetal or the inner part of the adult nucleus

Correct answer: 1. The infantile nucleus is completely formed by one year of age

Explanation: Ans. The infantile nucleus is completely formed by one year of age